Actinomycosis most common site-
1. Cervicofacial
2. Thoracis
3. Abdomen
4. Brain

Correct answer: 1. Cervicofacial

Explanation: Ans. is 'a' i.e., Cervicofacial Oral-cervicofacial type is the most common form of actinomycosis.